In close angle glaucoma all are TRUE, EXCEPT
1. Iridectomy is done
2. Pilocarpine is used
3. Nonsystemic manifestations
4. Atropine is not used

Correct answer: 3. Nonsystemic manifestations

Explanation: C i.e. Non-systemic manifestations In angle closure glaucoma systemic manifestations like nausea, vomiting, headache, abdominal pain are present Q Laser iridotomy (1st) or surgical iridectomy (2nd) is treatment of choice for PACG. Q Pilocarpine is the drug of choice Q used to gain time till the surgery is performed. Atropine (Mydriatic) is contraindicated as it precipitates glaucoma.